Following features are true about lipid insoluble beta blockers except?
1. Do not cross blood brain barrier
2. Have good membrane stabilizing effect
3. Incompletely absorbed orally
4. Are long acting

Correct answer: 2. Have good membrane stabilizing effect

Explanation: Ans. is `b' i.e., Have good membrane stabilizing effect Lipid insolubile drugs have following features ? Do not cross Blood Brain Barrier and therefore produce no CNS effects. Have good renal excretion Have no membrane stabilizing activity Are incompletely absorbed orally Are long acting Are effective in narrow dose range Lipid insoluble b-blockers Acebutolol Betoxalol Atenolol Carteolol Bisoprolol Celiprolol Esmolol Nodalol Sotalo Labealol Pindolol